The difference between iron sorbitol-citric acid and iron dextran is that the former:-
1. Cannot be injected i.v.
2. Is not bound to transferrin in plasma
3. Is not excreted in urine
4. Produces fewer side effects

Correct answer: 1. Cannot be injected i.v.

Explanation: Iron sorbitol citrate should not be used i.v. because it may rapidly saturate the transferrin receptors and which can result in Iron toxicity due to more free Iron. IRON - DEXTRAN IRON-SORBITOL-CITRATE can be given i/v or i/m only i/m not excreated in urine about 30% excreated in urine absorbed through lymphatics absorbed directly in circulation not bound to transferrin bound to transferrin & may saturate it when given in high doses